In which of the following vegetations are friable and easily detachable from the cardiac valves
1. Rheumatic heart
2. Rheumatoid disease
3. SLE
4. Infective endocarditis

Correct answer: 4. Infective endocarditis